Enterovirus causes all except -
1. Haemorrhage fever
2. Pleurodynia
3. Herpangia
4. Aseptic Meningitis

Correct answer: 1. Haemorrhage fever

Explanation: Coxsackie viruses cause herpangina and aseptic meningitis REF:ANATHANARAYAN AND PANIKER'S TEXTBOOK OF MICROBIOLOGY 8TH EDITION PAGE NO:491